A 19 year old patient came to the out patient department with complaints of primary amenorrhea. She had well developed breast and pubic hair. However there was absence of vagina and uterus. Likely diagnosis is:
1. XYY
2. Mullerian agenesis
3. Gonadal dysgenesis
4. Klinefelter's syndrome

Correct answer: 2. Mullerian agenesis

Explanation: Mullerian agenesis (Mayer-Rokitansky-Kuster-Hauser syndrome) is the second most common cause of primary amenorrhea. These individuals have normal ovarian development, normal endocrine function, and normal female sexual development. The physical findings are a shortened or absent vagina in addition to absence of the uterus, although small masses resembling a rudimentary uterus may be noted. These individuals have a 46,XX karyotype. Ref: Rosen M.P., Cedars M.I. (2011). Chapter 13. Female Reproductive Endocrinology and Infertility. In D.G. Gardner, D. Shoback (Eds), Greenspan's Basic & Clinical Endocrinology, 9e.